Which of the following is not a feature of rhinosporidiosis?
1. Bleeding polyp
2. Russel bodies are seen
3. Oral dapsone is useful in treatment
4. Excision with the knife is the treatment

Correct answer: 2. Russel bodies are seen

Explanation: Russel bodies are seen in rhinoscleroma. (Ref: PL DHINGRA diseases of ear, nose and throat, 7th edition page no 175)